Methotrexate is an example for which of the following class of drugs?
1. Antibiotic
2. Alkylating agent
3. Biologic response modifier
4. Folic acid analogue

Correct answer: 4. Folic acid analogue

Explanation: Ans: D (Folic acid analogue) Ref: The Pharmacological basis of therapeutics bv Goodman & Gilman - 12th edition, page no. 1669 -767/Explanation:"Methotrexate is an anti-metabolite which is a folic acid analogue." Ref: G&GClassification of Anti-Cancer DrugsAnti-metabolitesPemetrexed5 FUCapecitabineCytarabineGemcitabine5-aza-cytidineAlkylating agentsCyclophosphamideMelphalanChlorambucilProcarbazineBusull'anDacarbazineCisplatinOxaliplatinAntibioticsDoxorubicinDuunorubicinDactinomycinNatural products includeVinblastineVincristinePacliiaxelIrinotecanBiologic response modifiers includeInterferon alfaInterleukin-2Other categoriesTyrosine kinase inhibitors - imatinib, Sunitinib, DasatinibmTOR inhibitors - TemsirolimusProtea some inhibitors - Bortezomib